Adrenalin increases all of the following blood pressures significantly except
1. Systolic
2. Diastolic
3. Mean BP
4. Pulse pressure

Correct answer: 2. Diastolic

Explanation: Adrenaline given by slow infusion causes a rise in systolic but fall in diastolic BP, peripheral resistance sometimes may decrease because vascular beta 2 receptors are more sensitive than alpha receptors. beta 2 receptors produce vasodilatation causing fall in diastolic at times Mean BP generally rises. Pulse pressure is increased. From essential of medical pharmacology K D Tripati 7th edition Page no 131